Hardness of which of the following abrasives is maximum?
1. Sand
2. Emery
3. Boron carbide
4. Silicon carbide

Correct answer: 3. Boron carbide

Explanation: Diamond called as super abrasive>boron carbide> silicon carbides